Oxyhemoglobin dissociation curve is shifted to left in
1. Metabolic acidosis
2. Hypercapnia
3. Hypothermia
4. Increased 2-3 DPG levels

Correct answer: 3. Hypothermia

Explanation: When blood becomes slightly acidic wit PH decreasing from normal value of 7.4 to 7.2, the O2 - Hb curve shifts on an average about 15% to right. A shift in O2-Hb curve to right occurs in response to increased blood CO2 and hydrogen ions. Decreased blood temperature shifts the curve to left In normal BPG in blood shifts curve slightly to right all the time. In hypoxic condition, the level of BPG increases and shifts curve to right even farther.Ref: Textbook of medical physiology by Guyton and Hall,2nd South Asia Edition, page no.373,374